Proximal convoluted tubule have which type of aquaporins
1. Aquaporin 1
2. Aquaporin 2
3. Aquaporin 5
4. Aquaporin 9

Correct answer: 1. Aquaporin 1

Explanation: Aquaporin-1 is localized to both the basolateral and apical membrane of the proximal tubules and its presence allows water to move rapidly out of the tubule along the osmotic gradients set up by active transport of solutes, and isotonicity is maintained. Because the ratio of the concentration in tubular fluid to the concentration in plasma (TF/P) of the nonabsorbable substance inulin is 2.5 to 3.3 at the end of the proximal tubule, it follows that 60-70% of the filtered solute and 60-70% of the filtered water has been removed by the time the filtrate reaches this point.Ref: Ganong's review of medical physiology,23rd edition, page: 652